Vitamin B12 is absorbed in:
1. Duodenum
2. Jejunum
3. Ileum
4. Stomach

Correct answer: 3. Ileum

Explanation: C i.e. Ileum Most vitamins are absorbed in upper small intestine but vitamin B12 is absorbed in the ileumQ